In which of the following procedures an armoured endotracheal tube is used?
1. Cardiovascular surgery
2. Neurosurgery
3. Thoracic surgery
4. Pediatric surgery

Correct answer: 2. Neurosurgery

Explanation: A special type of ET tube is used in head-neck surgery, neurosurgery or other surgeries where there is every possibilities of kinking of it. This type of ET tube is called the armoured tube. Here, the wall of the tube is reinforced with a spiral wire to reduce the chance kinking and collapse. This armoured ET tube is also useful when it is placed through a tracheostomy or laryngectomy stoma to provide an clear airway.